Crystalline lens develops from ?
1. Mesoderm
2. Endoderm
3. Surface ectoderm
4. Neuroectoderm

Correct answer: 3. Surface ectoderm

Explanation: Ans. is 'c' i.e., Surface ectoderm